Which protein is made by the liver and carries iron in the blood?
1. Hemosiderin
2. Haptoglobin
3. Transferrin
4. Ceruloplasmin

Correct answer: 3. Transferrin

Explanation: The liver makes transferrin to carry iron in the blood. Hemosiderin is an intracellular complex of ferric hydroxide, polysaccharides, and proteins. Haptoglobin binds free hemoglobin in the blood. Ceruloplasmin is a circula ng plasma protein involved in the transport of copper.